In which of the following metabolic pathways does HMG-CoA acts as anintermediate?
1. Cholesterol synthesis
2. Ketone body synthesis
3. Leucine catabolism
4. All of the above

Correct answer: 4. All of the above

Explanation: HMG CoA is an intermediate in the all 3 metabolic pathways.